Dysmorphic RBC with ARF is seen in?
1. Glomerular disease
2. Renal carcinoma
3. Proximal tubule disease
4. Distal tubule disease

Correct answer: 1. Glomerular disease

Explanation: Ans. (a) Glomerular disease(Ref: Henry's 22nd/ 457- 458)Dysmorphic RBCs with ARF is seen in Glomerular disease, while isomorphic RBCs are seen in non-glomerular bleeds;